IPC section 314 deals with
1. Causing miscarriage with consent
2. Causing miscarriage without consent
3. Death of mother due to miscarriage
4. Preventing the child being alive or to cause it to die after birth

Correct answer: 3. Death of mother due to miscarriage

Explanation: 312-causing miscarriage with consent 313-causing miscarriage without consent 314-death of mother due to miscarriage 315-Preventing the child being or cause it to die after birth 316-Causing death of the quick unborn child by act to culpable homicide Textbook of Forensic Medicine and toxicology ,5th edition pg number 387